All are true about extra lobar pulmonary sequestration except:
1. More common in males
2. Surrounded by seperate pleural covering
3. Associated with multiple other anomalies
4. Removed by either segmentectomy or lobectomy

Correct answer: 4. Removed by either segmentectomy or lobectomy

Explanation: There is less risk of infection in extralobar pulmonary sequestration as there is no bronchial communication in most of the cases.